All of the following are risk factors for the development of Endometrial cancer, EXCEPT:
1. Fibromyoma
2. Endometrial hyperplasia
3. Dysgerminoma
4. Granulosa cell tumor

Correct answer: 3. Dysgerminoma

Explanation: Dysgerminoma is not a risk factor for endometrial cancer. Risk factors for development of Endometrial cancer : Unopposed estrogen, either as replacement therapy or endogenously produced (eg, granulosa cell tumor, polycystic ovarian disease), endometrial hyperplasia, late menopause, low parity and history of uterine fibromyomas. Women who have hereditary nonpolyposis colon cancer (HNPCC) appear to have a markedly increased risk for developing endometrial cancer.